High crural index is seen in
1. Jumping athletes
2. Gymnasts
3. Weight lifters
4. Long - distance runners

Correct answer: 1. Jumping athletes

Explanation: Answer- A. Jumping athletesCrural index the ratio of lower leg length to thigh length. A high crural index allows application of force against the ground for a greater period of time than a lower crural index. fumping athletes (such as in basketball) and sprint swimmers tend to have above-average crural indices.